All of the following contains Bipolar neurons except
1. Retina
2. Sensory ganglia of cochlear and Vestibular Nerve
3. Dorsal root ganglion
4. Olfactory epithelium

Correct answer: 3. Dorsal root ganglion

Explanation: Dorsal root ganglion contains pseudounipolar neurons, not bipolar neurons.